Which of the following is not an indicator for nutritional values?
1. Vital signs
2. Weight and height
3. Mid arm circumference
4. Prevalence of low birth weight

Correct answer: 1. Vital signs